Childhood malignancy producing proptosis is/are :
1. Neuroblastoma
2. Retinoblastoma
3. Nephroblastoma
4. All of these

Correct answer: 4. All of these

Explanation: Childhood tumors producing proptosis are :
a) Retinoblastoma.
b) Rhabdomyosarcoma.
c) Lymphoma & lymphosarcoma.
d) Secondaries from neuroblastoma, nephroblastoma, Ewing's sarcoma, & leukaemic infiltration.